Deficiency of the abdominal muscle is associated with
1. Eagle-Barrette syndrome
2. Christopher syndrome
3. Megacystitis
4. Megaureter

Correct answer: 1. Eagle-Barrette syndrome

Explanation: Answer is 'a' i.e. Eagle Barrete syndrome Eagle Barrett or Prune-Belly syndrome Consists of a triad of abnormalites i.e. 1) deficient abdominal wall musculature 2) bilateral cryptorchidism 3) dilatation of urogenital tract Deficient abdominal wall musculature leads to extremely lax lower abdominal wall. The term Prune belly is derived from the wrinkled appearance of the anterior abdominal wall. Genitourinary abnormalities are hydroureters (without any obstruction) hydronephrosis distended bladder - cryptorchidism vescico-ureteric reflux leading to UTI Pulmonary hypoplasia is also seen in some cases. The condition is seen almost exclusively in males.